Combined oral pill reduces the risk of ?
1. Breast cancer
2. Ovarian cancer
3. Cervical cancer
4. Vaginal cancer

Correct answer: 2. Ovarian cancer

Explanation: Ans. is 'b i.e., Ovarian cancer Functional ovarian cyst o Endometrial carcinoma o Benign breast disease (fibroadenosis) Ovarian malignancy o Urerine fibroid o Premenstural tension & dysmenorrhoea Pelvic inflammatory disease o RA o Osteoporosis Ectopic pregnancy o Colon cancer o Acne